Visual area of cortex is supplied by
1. Anterior cerebral artery
2. Middle cerebral artery
3. Posterior cerebral artery
4. Posterior inferior cerebellar artery

Correct answer: 3. Posterior cerebral artery

Explanation: Occipital lobe or visual cortex is supplied by posterior cerebral artery Ref: Gray's40e/p-256